Epidural anaesthesia decrease risk of – a) Headacheb) Hypotensionc) Meningitisd) Arachnoiditis
1. abc
2. ad
3. bc
4. acd

Correct answer: 4. acd

Explanation: As dura is not punctured in epidural anesthesia, chances of postdural puncture headache, meningitis and arachnoiditis are less.